End stage Lung disease seen in -
1. Sarcoidosis
2. Interstitial lung disease
3. Langerhans cell histiocytosis
4. All

Correct answer: 4. All

Explanation: Ans. is 'a' i.e., Sarcoidosis; 'b' i.e., Interstitia lung disease; 'c' i.e., Langerhan's cell histiocytosis End-stage lung disease o When the lung can no longer keep the blood supplied with oxygen it is referred to as end-stage lung disease. o Causes of end stage lung disease - ARDS Pulmonary circulatory diseases Tuberculosis Cystic fibrosis Pneumoconiosis (Asbestosis and others) COPD (emphysema, chronic bronchitis) Interstitial lung diseases (e.g. sarcoidosis) o Pulmonary Langerhans cell histiocytosis is a progressive disease, and leads to endstage lung disease.